Supine hypotension is characteristic of the following trimester of pregnancy:
1. First trimester of pregnancy
2. 2nd trimester of pregnancy
3. 3rd trimester of pregnancy
4. Twin pregnancy

Correct answer: 3. 3rd trimester of pregnancy

Explanation: During late pregnancy with the woman in the supine position, the large pregnant uterus rather consistently compresses venous return from the lower body. In about 10 percent of women, this supine compression of the great vessels by the uterus causes significant arterial hypotension, sometimes referred to as the supine hypotensive syndrome. Also when supine, uterine arterial pressure--and thus blood flow--is significantly lower than that in the brachial artery. This may directly affect fetal heart rate patterns. This also occurs with hemorrhage or with spinal analgesia. Ref: Cunningham F.G., Leveno K.J., Bloom S.L., Hauth J.C., Rouse D.J., Spong C.Y. (2010). Chapter 5. Maternal Physiology. In F.G. Cunningham, K.J. Leveno, S.L. Bloom, J.C. Hauth, D.J. Rouse, C.Y. Spong (Eds), Williams Obstetrics, 23e.